All are metabolic causes of liver disease except:
1. Histiocytosis
2. Hemochromatosis
3. Gaucher disease
4. Wilson disease

Correct answer: 1. Histiocytosis

Explanation: a. Histiocytosis(Ref: Ghai 9/e p 648)Metabolic causes of Liver disease:Carbohydrate disorders: Galactosemia, HFI, GSDAmino acid disorders: Tyrosinemia, Urea cycle defects, MSUDLipid disorders: Gaucher disease, Niemann-Pick disease, Wolman diseaseOthers: Zellweger syndrome, Wilson disease, alpha 1 AT deficiency, CF, Hemochromatosis Langerhans cell histiocytosis refers to reactive proliferation of dendritic cells